The distal end of humerus develops from how many centers?
1. 2
2. 3
3. 4
4. 5

Correct answer: 3. 4

Explanation: Ossification centers are capitulum with the lateral part of the trochlea, the medial part of the trochlea, and one for each epicondyle. The center for the medial epicondyle forms a separate epiphysis whereas the centers for the lateral epicondyle, capitulum and trochlea fuse around puberty and form the composite epiphysis.About the sixteenth or seventeenth year, the lateral epicondyle and both portions of the articulating surface, having already joined, unite with the body, and at the eighteenth year, the medial epicondyle becomes joined to it.